After suxamethonium 50mg, apnea persists for one hour --
1. treatment with cholnesterase is indicated
2. Probably an atypical cholinesterase is present
3. Treatment with stored blood is indicated
4. Apnea may be due to low serum potassium concentration

Correct answer: 2. Probably an atypical cholinesterase is present

Explanation: Suxamethonium is a depolarising muscle relaxant used to rapidly gain optimal intubating conditions. It is normally metabolised within 5 minutes by plasma cholinesterase. Some patients lack this enzyme or have an altered enzyme that does not metabolise the suxamethonium as rapidly. These patients may remain paralysed for a prolonged period after a standard dose of suxamethonium and rely on renal elimination. This condition is often referred to as suxamethonium apnea